Gold Standard investigation for pulmonary Thromboembolism?
1. V/Q SCAN
2. CECT
3. Angiography
4. MRI

Correct answer: 3. Angiography

Explanation: *Gold standard is Pulmonary Angiography. *IOC - CT Angio. CE pulmonary angiogram showing hypodense thrombus in left main pulmonary artery.